Amylin analog among the following is
1. Sitagliptin
2. Liraglutide
3. Nateglinide
4. Pramlintide

Correct answer: 4. Pramlintide

Explanation: Pramlintide, a synthetic analog of amylin, is an injectable antihyperglycemic agent that modulates postprandial glucose levels and is approved for preprandial use in persons with type 1 and type 2 diabetes. It is administered in addition to insulin in those who are unable to achieve their target postprandial blood sugar levels.Pramlintide suppresses glucagon release undetermined mechanisms, delays gastric emptying, and has central nervous system mediated anorectic effects.Ref: Katzung; 13th edition; Page no: 760